Most common muscle damaged in rotator cuff-
1. Supraspinatus
2. Infraspinatus
3. Subscapularis
4. Teres minor

Correct answer: 1. Supraspinatus

Explanation: The tendons of the rotator cuff, not the muscle, are most commonly involved and of the four, the supraspinatus is affected most frequently as it passes below the acromion.